Which one of the following phenomena is closely associated with slow wave sleep
1. Dreaming
2. Atonia
3. Sleep walking
4. Irregular heart rate

Correct answer: 3. Sleep walking

Explanation: Slow wave sleep events (Stage 3 & 4 NREM)
-        Somnambulism
-        Night terrors
-        Nocturnal enuresis
-        Bruxism
-        Sleep talking